Which of the following antibiotic is used in the treatment of Clostridium difficile associated diarrhoea?
1. Ciprofloxacin
2. Metronidazole
3. Piperacillin
4. Clindamycin

Correct answer: 2. Metronidazole

Explanation: Ans. is 'b' i.e. Metronidazole o Metronidazole is the DOC for clostrdium difficle associated diarrhoea. o Alternative drugs are vancomycin, fusidic acid, teicoplanin, and bacitracin.